Recapitulation:
1. Uses Large files to flare the root canal
2. Removing debris with a smaller instrument than the instrument that goes to the apex
3. Use of larger files to flare the root canal but in between use of small instruments to confirm the initial length
4. The use of various types of reamers and files to enlarge the root canal

Correct answer: 3. Use of larger files to flare the root canal but in between use of small instruments to confirm the initial length